Hanging in which body is fully suspended & feet are not touching the ground?
1. Partial hanging
2. Complete hanging
3. Homicidal hanging
4. Suicidal hanging

Correct answer: 2. Complete hanging

Explanation: Ans. is 'b' i.e., Complete hanging o Complete hanging: Body is fully suspended and no part of the body touches the ground. Constricting force is the weight of the body.o Incomplete (partial) hanging: There is partial suspension and some body part (usually lower) is touching the ground. Constricting force is the weight of the head (5-6 kg).